Fear of being in places or situations from which escape might be difficulty embarrassing or which help may be unavailable in the event of having panic attack. This condition is called
1. Social Phobia
2. Zoophobia
3. Acrophobia
4. Agoraphobia

Correct answer: 4. Agoraphobia

Explanation: (D) Agoraphobia # Social anxiety disorder is a chronic mental health condition that causes an irrational anxiety or fear of activities or situations in which you believe that others are watching you or judging you. You also fear that you'll embarrass or humiliate yourself. Zoophobia or animal phobia may have one of two closely related meanings: a generic term for the class of specific phobias to particular animals, or an irrational fear or even simply dislike of any non-human animals. Acrophobia (from the Greek: meaning "peak, summit, edge" "fear") is an extreme or irrational fear of heights. It belongs to a category of specific phobias, called space and motion discomfort that share both similar etiology and options for treatment. Agoraphobia: Example of irrational fear of situations. It is the commonest type of phobia encountered in clinical practice. Women far out-number men In suffering from agoraphobia in the Western countries. It is characterized by an irrational fear of being in places away from the familiar setting of home. Although it was earlier thought to be fear of open spaces only, now it includes fear and open spaces, Public Places, crowded places, any other place from where there is no easy escape to a safe place. In fact patient is afraid of all the places or situations from where escape may be difficult or help may not beavailable.if he suddenly develops embarrassing symptoms. These embarrassing or incapacitating symptoms are the classical symptoms of panic. A full-blown panic attack may occur {agoraphobia with panic disorder) or only a few symptoms (like dizziness or tachycardia) may occur {agoraphobia without panic disorder). As the agoraphobia increases in severity, there is a gradual restriction in the normal day-to-day activities. The activities may become so severely restricted that the person becomes self-imprisoned at his home. One or two persons (usually close relations or friends) may be relied upon, with whom the patient can leave home. Hence, the patient becomes severely dependent on these phobic companions.